ALARA is an acronym that stands for:
1. As Low As Reasonably Applicable
2. As Low As Reasonably Asseable
3. As Low As Reasonably Available
4. As Low As Reasonably Achievable

Correct answer: 4. As Low As Reasonably Achievable

Explanation: ALARA, is an acronym for an important principle in exposure to radiation and other occupational health risks and stands for "As Low As Reasonably Achievable ". The aim is to minimize the risk of radioactive exposure or other hazard while keeping in mind that some exposure may be acceptable in order to further the task at hand. The optimisation is applied at two levels for radiological protection in patients- A. Appropriate selection, design and construction of X-ray equipment. B. Day to day methods of working. Note- ALARP- as low as reasonably practicable, this term is used in UK instead of ALARA.